Absorption of glucose by kidney is by:
1. Secondary active transport
2. Facilitated Diffusion
3. Primary active transport
4. Endocytosis

Correct answer: 1. Secondary active transport

Explanation: Glucose enters in the intestine and kidneys, by secondary active transport Sodium- dependent glucose cotransporters (SGLT). - SGLT-1 = GIT - SGLT-2 = Renal tubules Facilitated diffusion of glucose occurs glucose transporters (GLUTs).